Fertilization occurs in which part of the fallopian tube
1. Ampulla
2. Isthmus
3. Interstitial
4. Infundibular

Correct answer: 1. Ampulla

Explanation: REF : DUTTA OBG 9TH ED